False about leprosy is:
1. It has been eliminated from India
2. It can be transmitted through breast milk
3. Lepromin test is not a diagnostic test
4. MDT is contraindicated during pregnancy

Correct answer: 4. MDT is contraindicated during pregnancy

Explanation: Operational classification of Leprosy (according to skin smear positivity) to serve as a basis for chemotherapy. Paucibacillary Leprosy (PBL) BI <2 Multibacillary Leprosy (MBL) BI >2 Included types Indeterminate Polar tuberculoid (TT) Border Tuberculoid (BT) Polar Lepromatous (LL) Borderline Lepromatous (BL) Mid-border line (BB) Multidrug therapy (MDT) in NLEP (Drugs) Rifamcipicin 600mg OAMS Dapsone 100 mg daily Rifampicin 600 mg OAMS Dapsone 100mg daily Clofazimine 300 mg OAMS and 50 mg daily Treatment duration 6 months 12 months Follow up (after treatment) Annually for 2 years Annually for 5 years BI: Bacteriological index OAMS: Once a month supervised MBL cases are most important source of infection MDT is safe in pregnancy Ref: Park 25th edition Pgno: 332-347